While inserting a central venous catheter, a patient develops respiratory distress. The most likely cause is -
1. Hemothorax
2. Pneumothorax
3. Pleural effusion
4. Hypovolumia

Correct answer: 2. Pneumothorax